Deficiency of enzyme in Tay-Sach disease ?
1. Galactosidase
2. Hexosaminidase
3. Acid lipase
4. Glucosidase

Correct answer: 2. Hexosaminidase

Explanation: Ans. is 'b' i.e., Hexosaminidase